Type of laser used for iridotomy ?
1. Excimer
2. Krypton red
3. Nd:YAG
4. Diode

Correct answer: 3. Nd:YAG

Explanation: Ans. is 'c' i.e., Nd:YAG